The most common rhythm disturbance during early postoperative period is:
1. Bradycardia
2. Ventricular fibrillation
3. Tachycardia
4. Complete heart block

Correct answer: 3. Tachycardia

Explanation: C i.e. Tachycardia Sinus tachycardia is most commonly occurring arrhythmia in the perioperative period.